The first generation and second generation flowable composites are intended to be used for
1. Class V and Class II restorations, respectively
2. Pit-and-fissure sealants and small anterior restorations, respectively
3. Class I and class II restorations, respectively
4. Pit-and-fissure sealants and Class I restorations, respectively

Correct answer: 4. Pit-and-fissure sealants and Class I restorations, respectively